Blood testis barrier is formed by the:
1. Leydig cells
2. Sertoli cells
3. Germ cells
4. All of the above

Correct answer: 2. Sertoli cells

Explanation: Blood-Testis Barrier a barrier separating the blood from the seminiferous tubules, consisting of special junctional complexes between adjacent Sertoli cells near the base of the seminiferous epithelium.Other barriers in the body:Placental barrier term sometimes used for the placental membrane, because it prevents the passage of some materials between the maternal and fetal blood.Blood-aqueous barrier the physiologic mechanism that prevents exchange of materials between the chambers of the eye and the blood.Blood-brain barrier, blood-cerebral barrier the selective barrier separating the blood from the parenchyma of the central nervous system. Abbreviated BBB